Subpoena is a:
1. Legal document
2. Medicolegal document
3. Medical document
4. First information report (FIR)

Correct answer: 1. Legal document

Explanation: Summon/ Subpnoea Summon: legal document compelling the attendance of a witness in a court of law, under penalty, on a particular day, time and place for the purpose of giving evidence. Types of summons: Subpoena duces tecum: Witness is required to bring the relevant documentary evidences to the court specified in the subpoena. Subpoena ad testificandum: Requires the individual to testify before the court. sections deal with summon: Section 61 - 69 Cr PC